159,35 yr old lady presents with a lump in the upper outer quadrant of breast Histopathology shows cells in pools of mucin and faint nuclei
1. Adenocarcinoma
2. colloidal carcinoma
3. Medullary carcinoma
4. Lobular carcinoma

Correct answer: 2. colloidal carcinoma

Explanation: *colloidal/ Mucinous carcinoma breast *The histopathology feature of cells in pools of mucin is suggestive of colloidal carcinoma ref : robbins 10th ed